Weight Gain in the second year of life is _____________
1. 1 kg
2. 2 kg
3. 3 kg
4. 4 kg

Correct answer: 3. 3 kg

Explanation: The average birth weight of neonates is about 3 kg. During the first a few days after birth, the newborn loses extracellular fluid equivalent to about 10% of the body weight. Most infants regain their birth weight by the age of 10 days. Subsequently, they gain weight at a rate of approximately 20-40 g per day for the first 3 months of life. Thereafter, they gain about 400 g weight every month for the remaining part of the first year. An infant usually doubles his birth weight by the age of 5 months. The birth weight triples at 1 year and is four times at 2 years of age. Thus, the weight at 5months, 1 year and 2 years is approximately 6, 9 and 12 kg, respectively. The weight of a child at the age of 3 years is approximately five times that of the birth weight. At 5 years, the expected weight can be calculated by multiplying the birth weight by 6, at 7 years by 7 and at 10 years by 10. It follows that the expected weight at 3, 5, 7 and 10 years is approximately 15, 18, 21 and 30 kg, respectively. On an average, a child gains about 2 kg every year between the ages of 3 and 7 years, and 3 kg per year after that till the pubertal growth spurt begins. Approximate anthropometric values *by age Age Weight {kg) Length or Height(cm) Head circumference {cm) Birth 3 50 34 6 months 6 (doubles) 65 43 1 year 9 (triples) 75 46 2 years 12 (quadruples) 90 48 3 years 15 95 49 4 years 16 100 50 Ref : ghai 9edition Pg 13